During replication of DNA, which one of the following enzyme polymerizes the Okazaki fragments?
1. DNA polymerase I
2. DNA polymerase II
3. DNA polymerase III
4. RNA polymerase I

Correct answer: 3. DNA polymerase III

Explanation: DNA POLYMERASE I DNA POLYMERASE II DNA POLYMERASE III Removes RNA primers from leading strand Gap in lagging strand is filled Proof reading and repair Synthesize both leading and lagging strand, Lagging strand is a strand which have Okazaki fragments. DNA Dependent DNA polymerase RNA POLYMERASE I Not involved in replication Involved in transcription.